Creatinine, NO & urea are synthesized from which amino acid?
1. Arginine
2. Citrulline
3. Aspartate
4. Glycine

Correct answer: 1. Arginine

Explanation: 1. Creatinine - Three amino acid -glycine, arginine and methionine-are required for creatine formation FORMATION OF CREATININE 2. NO is synthesized from arginine by enzyme NOS (Nitric Oxide Synthase). FORMATION OF NO 3. Urea is formed from arginine by enzyme arginase UREA CYCLE